An example of chronic myeloproliferative disorder is
1. Neutrophilic leukemoid reaction
2. Essential thrombocythemia
3. Plasmacytosis
4. Hairy cell leukemia

Correct answer: 2. Essential thrombocythemia

Explanation: According to WHO classification of myeloid neoplasms,the diseases under myeloproliferative group are chronic myeloid leukemia ,chronic neutrophilic leukemia ,chronic eosinophilic leukemia ,polycythemia vera & essential thrombocytopenia.

Reference :Harsh mohan textbook of pathology sixth edition pg no 357.